Incubation period of LGV:
1. 3-12 days
2. 15-45 days
3. 1 month
4. 6 months

Correct answer: 1. 3-12 days

Explanation: Ans. (a) 3-12 days Ref. Ananthanarayan 9/2/e 421 Incubation period of Lymphogranuloma venereum range from 3 days to 5 weeks. Incubation period of common Sexually transmitted disease Chancroid (Hemophilus ducreyi) 1-14 days Gonorrhea 2-30 days Syphilis 10-90 days Lymphogranuloma venereum (Chlamydia) 3-35 days HIV 14 days to years Genital herpes 2-14 days Scabies 3-60 days Granuloma inguinale 10-40 days